Rofecoxib was withdrawn due to :
1. Ischemic heart disease
2. Renal complication
3. Liver adenoma
4. Gastric ulcer

Correct answer: 1. Ischemic heart disease